True about cremasteric reflex?
1. Afferent: genital branch of genitofemoral nerve
2. Efferent: genital branch of genitofermoral nerve
3. Efferent: femoral branch of genitofemoral nerve
4. Afferent: pudendal nerve

Correct answer: 2. Efferent: genital branch of genitofermoral nerve

Explanation: Ans. is 'b' i.e., Efferent : genital branch of genitofemoral nerve